Hormone therapy in post menopausal women is indicated for treatment of all except
1. Vasomotor symptoms
2. Osteoporosis
3. Vaginal atrophy
4. Cardiovascular disease

Correct answer: 4. Cardiovascular disease

Explanation: Hormone replacement therapy can increase incidence of cardiovascular events due to increased risk for blood clots.